Loss of capsule in bacteria is generally associated with
1. Decrease in virulence
2. Loss of infectivity
3. Inability to spread through tissue
4. Increase in invasiveness

Correct answer: 1. Decrease in virulence